True about atopic dermatitis are all except -
1. Pruritus
2. Scratching
3. Mica like scales
4. Xerosis

Correct answer: 3. Mica like scales

Explanation: Mica like scales are characteristic of pityriasis lichenoidis chronica(PLC) Pruritus,scratching and Xe rosins are the features of atopic dermatitis. Ref Harrison20th edition pg 2341